In which TNM staging of glottis carcinoma, cancer limited to larynx w ith vocal cord fixation?
1. T1
2. T2
3. T3
4. T4

Correct answer: 3. T3

Explanation: Ref: Diseases of Ear, Nose and Throat by Dhingra, 5th edition. Chapter on Cancer LarynxExplanation:TNM STAGING OF CANCER GLOTTIS ( AMERICAN JOINT COMMITTEE ON CANCER,GlottisTl: Tumour confined to vocal cords with normal mobilityConfined to one vocal cord.Extending to both vocal cords.T2: Supraglottic or subglottic extension of tumour with normal cord mobility.T3: Tumour confined to lary nx w ith vocal cord fixation.T4: Massive tumour with thyroid cartilage destruction and/or extension to confines of larynx.Regional Lymph Nodes (N)NX:Regional lymph nodes cannot be assessed (e.g. Previously removed).N0: No regional lymph node metastasis.N1: Metastasis in a single ipsilateral lymph node. 3 cm or less.N2: Metastasis in a single ipsilateral lymph node, more than 3-6 cm.N3: Metastasis in a lymph node more than 6 cm. Distant Metastasis (M)MX: Distant metastasis cannot be assessed.M0: No distant metastasis.M1: Distant metastasis.